Which of the following statements is false regarding transposons?
1. They are also known as "jumping genes"
2. It was first discovered by Barbara McClintock
3. Long transposons are known as insertion sequences
4. The ends of transposons carry "inverted repeat" sequences

Correct answer: 3. Long transposons are known as insertion sequences

Explanation: Transposon - Jumping gene - between chromosome & extra chromosomal DNA. Discovered by Barabara McClintock. Hair pin like - Centre +ve and inverted repeats on both ends. Carry drug resistance genes Not replicative DNA homology not required for transfer. Relatively short transposons (0.75-2.0 kbp long) known as insertion elements